Subglottic stenosis in term infants is a subglottic diameter of less than:
1. 2 mm
2. 3 mm
3. 4 mm
4. 5 mm

Correct answer: 3. 4 mm

Explanation: A subglottic diameter of less than or equal to 4 mm in a full-term neonate is considered to be abnormal.